The muscle which is affected last with DTC is-
1. Facial
2. Diaphragm
3. Ocular
4. Abdominal

Correct answer: 2. Diaphragm